Hollow ground bevel is?
1. Knife edge
2. Exaggerated chamfer
3. Shoulder
4. Shoulder with bevel

Correct answer: 2. Exaggerated chamfer

Explanation: Hollow ground (concave) bevel:

Used when  cusp required to cover with cast metal
Prepared with 12 fluted round ended bur
Provide sufficient bulk of restoration at cavosurface margin
It is an exaggerated chamfer basically
Also known as concave bevel
In posterior ceramic restorations at cavosurface angle hollow-ground chamfer confined to the marginal enamel will aid in developing a more effective seal